Unmet needs for contraception ?
1. Increases with age group
2. Maximum in women < 20 years age
3. Maximum in women 25-30 years age
4. Mainly for spacing births in women > 30 years

Correct answer: 2. Maximum in women < 20 years age

Explanation: Ans. is 'b' i.e., Maximum in women < 20 years age Many women who are sexually active would prefer to avoid pregnancy, but nevertheless are not using any method of contraception. These women are considered to have 'unmet need' for family planning. The concept is usually applied to married women. According to the National Family Health Survey-3, Unmet need for family planning is highest (27.1%) among women below 20 years age and is almost entirely for spacing the births rather than for limiting the births. It is also relatively high for women in age group 20-24 years (21.1%) with 75% need for spacing and 25% for limiting the birth. Unmet need for contraception among women aged 30 years and above are mostly for limiting birth.